The extraocular muscles are derived from which of the following structures?
1. Branchial arches
2. Optic cup ectoderm
3. Somites
4. Somitomeres

Correct answer: 4. Somitomeres

Explanation: The somitomeres are specialized masses of mesoderm found in the head region that give rise to the muscles of the head. The extraocular muscles are derived from somitomeres 1, 2, 3, and 5.